The highest mercury concentration in amalgam filling is found
1. At the margin of the restoration
2. In the centre of the restoration
3. In the deepest part of the restoration
4. None of the above

Correct answer: 1. At the margin of the restoration